Which muscle originates from anterior superior iliac spine of hip bone:
1. Iliacus
2. Sartorius
3. Vastus Medialis
4. Pectineus

Correct answer: 2. Sartorius

Explanation: Ans. B. SartoriusThe sartorius muscle is the longest muscle in the human body. It is a long, thin, superficial muscle that runs down the length of the thigh in the anterior compartment.The sartorius is also called the tailor's muscle.The sartorius muscle originates from the anterior superior iliac spine. It runs obliquely across the upper and anterior part of the thigh in an inferomedial direction. It is inserted on medial aspect of tibia, sartorius is innervated by the femoral nerve.